Vital statistics in a population include:-
1. Sex ratio
2. Age composition
3. Birth rate
4. Dependency ratio

Correct answer: 3. Birth rate

Explanation: Population statistics Vital statistics Population size Sex ratio Density of population Dependency ratio Birth rate, death rate Natural growth rate Life expectancy at birth Mortality rates Fertility rates